An example of a two-way discussion is:
1. A seminar
2. Role playing
3. Symposium
4. Group discussion

Correct answer: 4. Group discussion

Explanation: Group discussion